The following statements regarding tissue plasminogen activator are true, except:
1. It is produced by recombinant DNA technology.
2. Induction of systemic lytic state is limited with its use.
3. It is ineffective in lysing thrombi of myocardial infarction.
4. It is a poor plasminogen activator in the absence of fibrin.

Correct answer: 3. It is ineffective in lysing thrombi of myocardial infarction.

Explanation: Tissue plasminogen activator (alteplase) is produced by recombinant DNA technology. It is a poor plasminogen activator in the absence of fibrin. Its specificity for fibrin limits systemic formation of plasminand induction of systemic lytic state. It is given as intravenous bolus for coronary thrombolysis during treatment of myocardial infarction.